True statement about malignant otitis externa is:
1. Not painful
2. Common in diabetics and old age
3. Caused by streptococcus
4. All of the above

Correct answer: 2. Common in diabetics and old age

Explanation: Malignant otitis externa DEFINITION * Malignant otitis externa is an aggressive and potentially life-threatening infection of the soft tissues of the external ear and surrounding structures, quickly spreading to involve the periostium and bone of the skull base. NOMENCLATURE * Also called 'skull base osteomyelitis' and 'necrotizing external otitis' * It has been suggested that * necrotizing external otitis should be used for aggressive soft tissue infection in the absence of bony involvement * skull base osteomyelitis be used for the condition once bone infection is confirmed. * Malignant otitis externa is a misnomer as it is not a neoplastic process Common in diabetics and old age Ref : HAZARIKA 3RD ED.